Neutral positions of Vocal cord is:
1. Paramedian
2. Median
3. Intermediate
4. Abducted

Correct answer: 3. Intermediate

Explanation: Position of vocal cord Distance from center Situation in Palsy Median Midline Phonation RLN Paralysis Paramedian 1.5mm Strong whisper RLN Paralysis Intermediate (Cadaveric) 3.5mm Neutral position Paralysis of both RLN & SLN Gentle Abduction 7mm Quite Respiration Paralysis of Adductors Full Abduction 9.5mm Deep Inspiration Paralysis of Adductors